A radiologist notes the presence of fine, radiographically dense crystals in the tissues of a knee joint. This patient most likely has which of the following types of arthropathy?
1. Gonococcal arthritis
2. Gouty arthritis
3. Osteoarthritis
4. Pseudogout

Correct answer: 4. Pseudogout

Explanation: Radiographically dense calcium pyrophosphate dihydrate (CPPD) crystals are deposited in cartilage and joint soft tissues in pseudogout, which can involve the knees, wrists, elbows, shoulders, or ankles. If the patient is asymptomatic because the deposition is primarily within cartilage, the condition is sometimes called chondrocalcinosis. In its more severe form, the joint involvement can clinically resemble rheumatoid arthritis. Neither gonococcal arthritis, osteoarthritis, nor rheumatoid arthritis are associated with crystal formation. The monosodium urate crystals deposited in joints in gouty arthritis are not radio-opaque. Ref: Wyatt C., Kemp W.L., Moos P.J., Burns D.K., Brown T.G. (2008). Chapter 19. Pathology of the Bones and Joints. In C. Wyatt, W.L. Kemp, P.J. Moos, D.K. Burns, T.G. Brown (Eds), Pathology: The Big Picture.